In osteoporosis there is -a) Decrease in absolute amount of bone massb) More common in malec) Radiographs show normal bone densityd) Hormonal replacement therapy
1. ad
2. c
3. ac
4. ab

Correct answer: 1. ad